Lyme's disease is caused by
1. Borrelia parkeri
2. Borrelia burgdorferi
3. Borrelia recurrentis
4. Borrelia hermsii

Correct answer: 2. Borrelia burgdorferi

Explanation: Lyme disease is named after the town of Lyme, Connecticut, where clusters of cases in children were identified. Lyme disease is caused by the spirochete Borrelia burgdorferi and is transmitted to humans by the bite of a small Ixodes tick. The disease has early manifestations with a characteristic skin lesion, erythema migrans, along with flu-like symptoms, and late manifestations often with arthralgia and arthritis.